Maple syrup urine disease is due accumulation of
1. Phenylalanine
2. Tyrosine
3. Branched chain amino acids
4. Tryptophan

Correct answer: 3. Branched chain amino acids

Explanation: Maple syrup urine disease is also called branched-chain ketonuria The basic defect is deficient decarboxylation of branched-chain ketoacids.Ref: DM Vasudevan - Textbook of Biochemistry, 7th edition, page no: 230